Which of the following is an inhibitor of dihydrofolate reductase-
1. Phenytoin
2. Alcohol
3. Methotrexate
4. Yeast

Correct answer: 3. Methotrexate

Explanation: Ans. is 'c' i.e., Methotrexate o Methotrexate is folate antagonist : inhibits dihydrofolate reductase (DHP Rase) - blocking the conversion of dihydrofolic acid to tetrahydrofolic acid which is an essential co-enzyme required for one carbon transfer reactions in de novo purine synthesis and amine acid interconversions.